Which of the following can recognize dead material?
1. NET
2. Inflammasome
3. Necrosis
4. Toll-like receptor

Correct answer: 2. Inflammasome

Explanation: Ans. B. InflammasomeNOD-like receptors (NLRs) and the inflammasomeLocationCytosolic receptorsRecognizeNecrotic cells, ion disturbances (e.g., loss of k), urate crystal, and some microbial productsMechanism of actionActivates Caspase-1- activates IL-1- recruits leukocytes and induces feverRole in diseases* Periodic fever syndromes (autoinflammatory syndromes): Due to gain of function mutations* Obesity associated type 2 diabetes and atherosclerosis: Due to gain of function mutations* Inflammation in gout: Due to recognition of urate crystals by a class of NLRs